For gold inlays gingival margin finish line should be
1. Shoulder preparation
2. Chamfer preparation
3. Bevel
4. Knife edge

Correct answer: 3. Bevel